. Reticulocyte count in Hemolyticjaundice is -
1. 0.8 - 1%
2. 1 - 2 %
3. >2.5%
4. < 2%

Correct answer: 3. >2.5%